Cycolps are intermediate hosts for -
1. Kala azar
2. Schistosomiasis
3. Dracunculus medinensis
4. Teniasis

Correct answer: 3. Dracunculus medinensis

Explanation: Passes its life cycle in two hosts Humans- definitive host Cyclops-intermediate hostThe adult female worm discharges larvae which are ingested by the intermediate host cyclops (refer pgno:175 baveja 3 rd edition)